Most common valvular lesion in carcinoid syndrome of heart is:
1. Aortic stenosis
2. Tricuspid regurgitation
3. Mitral Stenosis
4. Aortic Regurgitation

Correct answer: 2. Tricuspid regurgitation

Explanation: Answer is B (Tricuspid Regurgitation) Carcinoid syndrome most frequently involves the ventricular aspect of the tricuspid valve and leads to Tricuspid Regurgitation